Watercan' perineum is caused by -
1. E.coli
2. Enterococcus fecalis
3. Neiserria gonorrhoea
4. Treponemia palladium

Correct answer: 3. Neiserria gonorrhoea

Explanation: Ans. is 'c' i.e., Neisseria gonorrhoea